Klumpke's paralysis involves ?
1. C5 C6
2. C6 C7
3. C7T1
4. C8T1

Correct answer: 4. C8T1

Explanation: ANSWER: (D) C8 T1REF: BDC 4th edition vol 1 Page 53KLUMPKE'S PARALYSIS:Site of injury: lower trunk of brachial plexusCause of injury: undue abduction of the armsNerve roots involved: mainly T1 partly C8Muscles paralyzed:Intrinsic muscles of the hand (Tl)Ulnar flexors of wrist and fingers (C8)Disability:Claw handHorner's syndromeVasomotor changesTrophic changesCutaneous anesthesia on the ulnar border of hand and forearm